Patch test is a type of:
1. Immediate hypersensitivity
2. Antibody mediated hypersensitivity
3. Immune complex mediate hypersensitivity
4. Delayed type hypersensitivity

Correct answer: 4. Delayed type hypersensitivity

Explanation: D i.e. Delayed type hypersensitivity